True about osteoporosis-
1. Low calcium
2. Low phosphate
3. Cod fish vertebrate
4. Raised alkaline phosphatase

Correct answer: 3. Cod fish vertebrate

Explanation: *Serum calcium, phosphate and alkaline phosphatase are normal in osteoporosis. *Cod fish appearance of vertebrae is seen in X-ray. Ref: Appley's 6th/e p.133